Lenticular shaped hemorrhage is seen in?
1. Extradural hemorrhage
2. Subdural hemorrhage
3. Subarachnoid hemorrhage
4. Intracerebral hemorrhage

Correct answer: 1. Extradural hemorrhage

Explanation: Blood accumulates betweem rigid skull and the dura giving it a biconvex (lenticular shape) in extradural hemorrhage.